Drugs undergoing acetylation include all except -
1. Dapsone
2. Metoclopramide
3. Procainamide
4. INH

Correct answer: 2. Metoclopramide

Explanation: Ans. is 'b' i.e., Metoclopramide Drugs metabolized by acetylation o Sulfonamides (including dapson) o Procainamide o PAS o INH o Hydralazine o Clonazepam